The cytoplasmic membrane of bacteria is responsible for -
1. Slective permeability
2. Motility
3. Cell division
4. Conjunction

Correct answer: 1. Slective permeability

Explanation: The cytoplasmic membrane is a thin layer lining the inner surface of the cell wall and separating it from the cytoplasm. It acts as a semipermeable membrane controlling the flow of metabolites to and from the protoplasm. Passage through the membrane is not solely a function of the molecular size of the particles but depends in many cases on the presence in the membrane of specific enzymes (pereases). Electron microscopy shows the presence of 3 layers constituting a unit membrane structure. Chemically the membrane consists of lipoprotein with a small number of carbohydrates. Sterols are absent except in mycoplasma Ref: Ananthanarayan & paniker's Textbook of Microbiology 9th edition pg no 16